Hypoglossal nerve is:
1. 6th nerve
2. 7th nerve
3. 12th nerve
4. 9th nerve

Correct answer: 3. 12th nerve

Explanation: 12th nerve